A female patient presented with depressed mood, loss of appetite and no interest in surroundings., There is associated insomnia. The onset of depression was preceeded by a history of business loss and soon after it she developed the following symptoms for the past one year. True statement regarding management  patient is?
1. No treatment is necessary as it is due to business loss
2. SSRI is the most efficacious of the available drugs
3. Start SSRI treatment based on side effect profile
4. Combination therapy of 2 anti-depressant drugs

Correct answer: 3. Start SSRI treatment based on side effect profile